Which is not a Radiosensitive tumor:
1. Lymphoma
2. Seminoma
3. Melanoma
4. Multiple myeloma

Correct answer: 3. Melanoma

Explanation: Melanoma is highly resistant.